The intracytoplasmic inclusion bodies are diagnostic of:
1. Rabies
2. Measles
3. Adenovirus
4. Mumps

Correct answer: 1. Rabies

Explanation: Rabies